Which of these is true for pain in endometriosis?
1. Dysmenorrhea usually starts from day 2 of periods and subsides with end of menstrual flow
2. Dysmenorrhea is more common in ovarian endometriomas than peritoneal lesions
3. Dyspareunia is more common with peritoneal lesions in pouch of douglas
4. Pelvic pain is usually unilateral

Correct answer: 3. Dyspareunia is more common with peritoneal lesions in pouch of douglas

Explanation: Dysmenorrhea in endometriosis is usually congestive type that starts prior to onset of menstruation. All endometriosis lesions are associated with pelvic pain including minimal to mild endometriosis. IN regards to option 'b' , dysmenorrhea is less frequent in women with 'only ovarian endometrioma' compared with other locations. A strong association is found between pelvic pain, dyspareunia and posterior cul-de-sac ( POD) lesions. Distribution of pain is usually variable but its mostly bilateral.